Anti-IgE used in asthma is:
1. Trastuzumab
2. Epratuzumab
3. Toclizumab
4. Omalizumab

Correct answer: 4. Omalizumab

Explanation: Omalizumab